A patient with cushinoid features presents with hemoptysis: he shows no response to dexamethasone supression test; most likely diagnosis here Is
1. Adrenal hyperplasia
2. Adrenal adenoma
3. Ca lung with ectopic ACTH production
4. Pituitary microadenoma

Correct answer: 3. Ca lung with ectopic ACTH production

Explanation: The dexamethasone suppression test (DST) is used to assess adrenal gland function by measuring how cortisol levels change in response to an injection of dexamethasone. It is typically used to diagnose Cushing's syndrome. Dexamethasone suppression test measures whether adrenocorticotrophic hormone (ACTH) secretion by the pituitary can be suppressed. An abnormal response or no response to the low-dose test may mean that you have abnormal release of cortisol (Cushing syndrome). This could be due to: Tumor in the body that produces ACTH (ectopic cushing syndrome) Ref -